Negri bodies are mainly found in?
1. Brain stem
2. Cortical neurons
3. Hippocampus
4. Spinal cord

Correct answer: 3. Hippocampus

Explanation: Ans. (c) HippocampusRef: Harrison's 17th ed ch-188y Anantnarayan 7th ed p 539, Rabies: Scientific Basis of the Disease and Its Management by William H. Wanner, Alan C. Jackson p390.